Ethics and planning approvals are taken in
1. Public health practice
2. Group practice
3. Individual practice
4. Solo practice

Correct answer: 1. Public health practice